All are effects of sympathetic stimulation, EXCEPT:
1. Increased conduction velocity
2. Increased heart rate
3. Increased refractory period
4. Increased contractility of heart

Correct answer: 3. Increased refractory period

Explanation: C i.e. Increased refractory periodEffect of sympathetic system on heart mediated by Pi and (ix receptorsSA nodeIncrease in heart rateA.V. nodeIncrease in conduction velocityHis- Purkinje systemIncrease in conduction velocityAtriaIncrease in contractility & conduction velocityVentriclesIncrease in contractility